Sporulation from flask-shaped, pigmented projections is commonly observed in which one of the following fungi?
1. E. floccosum
2. C. immitis
3. P. verrucosa
4. M. canis

Correct answer: 3. P. verrucosa

Explanation: Microscopic examination of fungal isolates is essential to the identification of the organism.Phialophora verrucosa is one of the causes of chromoblastomycosis, a chronic localized infection of the skin and subcutaneous tissue. Microscopically, short or somewhat elongated, flask-shaped, pigmented phialides are seen. The collarettes are vase-shaped and darkly pigmented.